Ketone bodies are not used by ?
1. Muscle
2. Brain
3. RBC
4. Renal cortex

Correct answer: 3. RBC

Explanation: Ans. is 'c' i.e., RBC Only glucose is the sole fuel for RBCs. As RBCs have no mitochondria, they oxidize glucose anaerobically to lactate. Liver also cannot use ketone bodies because of lack of succinyl-CoA-acetoacetate-CoA transferase, which is required for activation of ketone bodies.